In VIPoma, which of the following is not seen?
1. Watery diarrhea
2. Hypokalemia
3. Hypercalcemia & hyperglycemia
4. Increased acid secretion

Correct answer: 4. Increased acid secretion

Explanation: VIPoma / Verner - Morrison syndrome / pancreatic cholera / WDHA syndrome M.C in tail of pancreas. C/F Watery diarrhea (4-6L) Hypokalemia Achlorhydria Hypovolemia Dyselectrolytemia. Medical emergency Management - IV fluids + correction of dyselectrolytemia RX of choice - Distal pancreatectomy